Supratemporal lental subluxation is seen in -
1. Weil's marchasani syndrome
2. Marfans
3. Hunters
4. Homocystinuria

Correct answer: 2. Marfans